Therapeutic effects of clomiphene manifests as the following:
1. Anti-gonadotrophin
2. Anti-progesterone
3. Anti-oestrogen
4. Anti-androgenic

Correct answer: 3. Anti-oestrogen

Explanation: Clomiphene citrate is a potent anti-estrogen that primarily is used for treatment of anovulation in the setting of an intact hypothalamic--pituitary axis and adequate estrogen production (e.g., PCOS). By inhibiting the negative feedback effects of estrogen at hypothalamic and pituitary levels, clomiphene increases follicle-stimulating hormone (FSH) levels--typically by ~50%--and thereby enhances follicular maturation. Ref: Schimmer B.P., Parker K.L. (2011). Chapter 66. Contraception and Pharmacotherapy of Obstetrical and Gynecological Disorders. In L.L. Brunton, B.A. Chabner, B.C. Knollmann (Eds), Goodman & Gilman's The Pharmacological Basis of Therapeutics, 12e.